Composition of which of the following intravenous fluids has the closest resemblance to plasma ?
1. Isotonic saline
2. 1\/5 isotonic saline
3. 4.3% dextrose
4. Ringer's Lactate

Correct answer: 4. Ringer's Lactate

Explanation: Ringer lactate and hamanns solution are identical to blood One litre of Ringer's lactate solution contains: 130 mEq of sodium ion = 130 mmol/L 109 mEq of chloride ion = 109 mmol/L 28 mEq of lactate = 28 mmol/L 4 mEq of potassium ion = 4 mmol/L 3 mEq of calcium ion = 1.5 mmol/L Ringer's lactate has an osmolarity of 273 mOsm/L the reference range of serum osmolality is 275-295 mosm/kg (mmol/kg).